True about apocrine gland is A/E
1. Modified sweat gland
2. Modified sebaceous gland
3. Present in groin & axilla
4. Infection is k/a hydradenitis suppurativa

Correct answer: 2. Modified sebaceous gland

Explanation: B i.e. Modified sebaceous gland